Flumazenil is:
1. Opiate antagonist
2. Diazepam antagonist
3. Opiate agonist
4. Antianginal drug

Correct answer: 2. Diazepam antagonist

Explanation: Diazepam antagonist